A 45-year-old female presents with symptoms of thyrotoxicosis. The RAIU scan shows increased uptake. Which of the following is the most likely diagnosis?
1. Hashimoto's thyroiditis
2. Struma ovarii
3. Thyrotoxicosis factitia
4. Choriocarcinoma

Correct answer: 4. Choriocarcinoma

Explanation: Ans. D. ChoriocarcinomaChoriocarcinoma produces beta hCG which acts on TSH receptor to stimulate uptake of Iodine.Hence RAIU would show increased uptake.Option A.Hashimoto's thyroiditisAny inflammation of thyroid will lead to reduced Uptake of Iodine.Option B & C.Struma ovari and thyrotoxicosis factitia lead to reduced TSH leading to reduced uptake of iodine.